Which of the following is not involved in synthesis of pyrimidines?
1. Glutamine
2. CO2
3. Aspartic acid
4. Glycine

Correct answer: 4. Glycine

Explanation: The pyrimidine synthesis is a similar process than that of Purines(Purines Synthesis). In the de novo synthesis of Pyrimidines, the ring issynthesized first and then it is attached to a ribose-phosphate to for a pyrimidinenucleotide. Pyrimidine rings are assembled from bicarbonate, aspartate, and Ammoni